Ectopia lentis is seen in
1. Hyperlysinenia
2. Weill - Marchesani syndrome
3. Sulfite oxidase deficiency
4. All of the above

Correct answer: 4. All of the above

Explanation: cause of ectopia lentis :

Marfan syndrome ⇒ Supero temporal dislocation
Homocystimuria ⇒Inferonasal dislocation
Weill - Marchesani syndrome ⇒  anterior and inferior dislocation
Hyperhysinemia
Sulfite oxidase deficiency
Ehler - Danlos syndrome